The reciprocal inhibition of antagonist muscle upon lateral gaze is explained by
1. Sherrington's law
2. Hering's law
3. Laplace law
4. Hick's law

Correct answer: 1. Sherrington's law

Explanation: A i.e. Sherrington's law